Which dietary deficiency of a vitamin can cause Scurvy.
1. Vitamin C
2. Niacin
3. Vitamin D
4. Biotin

Correct answer: 1. Vitamin C

Explanation: Synthesis of collagena. The polypeptide chains of preprocollagen are synthesized on the rough endoplasmic reticulum, and the signal (pre) sequence is cleaved.b. Proline and lysine residues are hydroxylated by a reaction that requires O2 and vitamin C.c. Galactose and glucose are added to hydroxylysine residues.d. The triple helix forms, and procollagen is secreted from the cell and cleaved to form collagen.e. Cross-links are produced. The side chains of lysine and hydroxylysine residues are oxidized to form aldehydes, which can undergo aldol condensation or form Schiff bases with the amino groups of lysine residues.Scurvy is caused by lack of vitamin C. Pellagra is caused by a dietary deficiency of niacin, beriberi is caused by a lack of thiamine (vitamin B-,), and rickets from a lack of vitamin D.